Structure of triglyceride is ?
1. 2 molecules of FA + Glycerol
2. 3 molecules of FA + Glycerol
3. 2 molecules of FA + 2, 3 DPG
4. 3 molecules of FA + 2, 3 DPG

Correct answer: 2. 3 molecules of FA + Glycerol

Explanation: Ans. is 'b' i.e., 3 molecules of FA + GlycerolTriglycerides (or Triacylglycerols) are esters of the alcohol glycerol and fatty acid. Triglyceride contains one molecule of glycerol and 3 molecules of fatty acids.Triglycerides are synthesized in many tissues, e.g. liver, kidneys, lactating mammary glands, intestinal mucosa, adipose tissue, muscles etc.